Commonest type of cleft lip is
1. Cleft lip alone
2. Bilateral
3. Midline
4. Combined with cleft palate

Correct answer: 4. Combined with cleft palate

Explanation: Distribution of Cleft types Cleft lip alone - 15% Cleft lip & palate - 45% Isolated cleft palate - 40% Ref : Bailey & Love 25/e p657